Gram stained periorbital exudates in severe panophthalmitis with cellulitis in an elderly diabetic shows irregular branching aseptate and broad hyphae. Which of the following is the most likely diagnosis-
1. Candida
2. Aspergillus
3. Pencillium
4. Apophysomyces species

Correct answer: 4. Apophysomyces species

Explanation: 1.Irregular branching aseptate and broad hyphae belong to Zygomycota phylum and cause Zygomycosis. *Zygomycota are aseptate fungi that cause serious infections, primarily in ketoacidotic diabetic patients and cancer patients. 2. Agents of Zygomycosis - - Rhizopus, Mucor, Lichtheimia (Old name: Absidia), Apophysomyces - Candida: Yeast like fungi. - Aspergillus: Narrow septate hyaline hyphae with acute angle branching molds. - Pencillium: Hyaline thin septate hyphae, vesicles are absent, and conidia arranged as brush border appearance molds.